Cryptoorchidism is associated with malignant changes to
1. Squamous cell carcinoma
2. Seminoma
3. Embryonal cell carcinoma
4. Choriocarcinoma

Correct answer: 2. Seminoma

Explanation: (Seminoma): (1307-1308-S. Das 7th edition; 1378-Bctily & Love 26th)CRYPTORCHIDISM - predisposes to testicular cancer, with the incidence increasing inversely with the level of testicular descent (i.e testicles remaining in the abdomen have a much incidence of cancer) Seminoma is more common in this situationHazards of incomplete descent are* Sterility in bilateral cases (especially intra- abdominal cases)* Indirect inguinal hernia* Pain, Torsion* Epididymo-orchitis can mimic appendicitis* Atrophy of an inguinal testis before puberty* An incompletely descended testis is smaller than the normally descended testis is smaller than the normally descended testis and it may undergo more atrophy particularly when it is situated in the inguinal canal due to recurrent trauma* An completely descended testis tends to atrophy as the boy approaches puberty, atrophy of an inguinal testes can occur even before puberty, possibly due to recurrent minor trauma**** Orchidopexy (synonym-orchiopexy) consists firstly of mobilization of the testis and spermatic cord and secondly retaining the testis in the scrotum* Most pediatric surgeons perform orchidopexy at around the first year of life*** Preoperative localization of the intra- abdominal undescended testis using CT, MRI or ultrasound may be helpful, laparoscopy is currently the procedure of choice**